The enzyme pseudocholinesterase acts on
1. Decamethonium
2. Tubocurarine
3. Gallamine
4. Suxamethonium

Correct answer: 4. Suxamethonium

Explanation: Refer Katzung 11/e p454 Suxamethonium is the other name of succinylcholine It is the shortest acting muscle relaxant due to metabolism by pseudocholinesterase